Best for management of a 3 cm stone in renal pelvis without evidence of hydronephrosis is?
1. ESWL
2. PCNL
3. Antegrade Pyeloplasty
4. Retrograde pyeloplasty

Correct answer: 2. PCNL

Explanation: ESWL- done for stone less than 2.5 cm size PCNL-if stone is > 2.5 cm will treat by PCNL Most common kidney stone =calcium oxalate Etiology=idiopathic hypercalciuria